Commonest site of hypospadias is -
1. Just proximal to glans
2. In the meid of penis
3. Scrotum
4. Perineum

Correct answer: 1. Just proximal to glans

Explanation: Ans. is 'a' i.e., Just proximal to glans Hypospadias* Failure of complete urethral tubularisation in the male fetus results in hypospadias, a common congenital anomaly affecting about one in every 200-300 boys.* In most cases the urethra opens just proximal to the glans penis but in severe cases the meatus may be on the penile shaft or in the perineum.* The dorsal fore- skin is hooded and there is a variable degree of chordee (a ventral curvature of the penis most apparent on erection).* Glanular hypospadias may be a solely cosmetic concern but more proximal varieties interfere with micturition and erection.* In severe forms of hypospadias, additional genitourinary anomalies and intersex disorders should be excluded.* Surgical correction of distal hypospadias is frequently undertaken before 2 years of age, often as a single- stage operation. Proximal varieties may require complex staged procedures. Surgery aims to achieve a terminal urethral meatus so that the boy can stand to micturate with a normal stream, a straight erection and a penis that looks normal.* Ritual circumcision must be avoided in infants with hypospadias because the foreskin is often required for later reconstructive surgery.